Rave drug is ?
1. Cannabis
2. Cocaine
3. Heroin
4. Ecstasy

Correct answer: 4. Ecstasy

Explanation: Rave drugs are ectasy (MDMA), gamma-hydroxybutyrate and rohypnol.